Transpulmonary pressure is difference between?
1. The bronchus and atmospheric pressure
2. Pressure in alveoli and intrapleural pressure
3. Atmosphere and intrapleural pressure
4. Atmosphere and intraalveolar pressure

Correct answer: 2. Pressure in alveoli and intrapleural pressure

Explanation: ANSWER: (B) pressure in alveoli and intrapleural pressureREF: Ganong 22nd ed p. 648Transpulmonary pressure is a term used to describe the difference between the alveolar pressure and the intrapleural pressure in the lungs. During human ventilation, air flows because of pressure gradient